Substrate level phosphorylation in glycolysis is catalyzed by
1. Glyceraldehyde 3 phosphate dehydrogenase
2. Pyruvate kinase
3. Phosphofructokinase
4. Enolase

Correct answer: 2. Pyruvate kinase

Explanation: In the reaction, catalyzed by phosphoglycerate kinase, phosphate is transferred from 1,3-bisphosphoglycerate onto ADP, forming ATP (substrate-level phosphorylation) and 3-phosphoglycerate. The phosphate of phosphoenolpyruvate is transferred to ADP in another substrate-level phosphorylation catalyzed by pyruvate kinase to form two molecules of ATP per molecule of glucose oxidized. Reference: Harper; 30th edition; Page no: 171